A woman delivers a 91b infant with a midline episiotomy and suffers a third degree tear. Inspection shows which of the following structures is intact :
1. Anal sphincter
2. Perineal body
3. Parineal muscles
4. Rectal mucosa

Correct answer: 4. Rectal mucosa

Explanation: Rectal mucosa